Vaginal epithelium is a derivative of
1. Mesoderm of urogenital sinus
2. Endoderm of urogenital sinus
3. Mesoderm of genital ridge
4. Endoderm of genital ridge

Correct answer: 2. Endoderm of urogenital sinus

Explanation: The wall of the vagina from the lumen outwards consists firstly of the mucosa of non keratinized stratified squamous epithelium with an underlying lamina propria of connective tissue, secondly a layer of smooth muscle with bundles of circular fibers internal to longitudinal fibers, and thirdly an outer layer of connective tissue called the adventitia. ref - BDC 6e vol2 pg395